Which of the following receptor is responsible for sensing the vibration?
1. Merkel's disc
2. Meissner corpuscle
3. Pacinian corpuscle
4. Ruffini's corpuscle

Correct answer: 3. Pacinian corpuscle

Explanation: RECEPTOR LOCATION SENSATION ENCODED MERKEL'S DISC EPIDERMIS LOCATION OF TOUCH MEISSNER CORPUSCLE DERMIS SPEED OF APPLICATION OF TOUCH PACINIAN CORPUSCLE DERMIS & DEEPER TISSUES VIBRATION RUFFINI'S CORPUSCLE LIGAMENTS, MUSCLES & TENDONS DEEP PRESSURE